Fish oil is not used in the treatment of:
1. Type 2A Hyperlipoproteinemia
2. Type 2B Hyperlipoproteinemia
3. Type 3 Hyperlipoproteinemia
4. Type 5 Hyperlipoproteinemia

Correct answer: 1. Type 2A Hyperlipoproteinemia

Explanation: Ans. A. Type 2A Hyperlipoproteinemia(Ref: Harrison 18/e, Table 356.3)Fish oil is used in the treatment of hypertriglyceridemia. The hyperlipoproteinemia with hypertriglyceridemia are all except Type IIA.Hyperliporoteinemia TypesIII aII bIIIIVVLipoprotein, elevatedChylomicrons(predominant) VLDLLDLLDL and VLDLChylomicron and VLDL remnantsVLDLChylomicrons and VLDLTriglycerides|||N||||||||